In which of the following vegetation are friable and easily detachable from the cardiac valves
1. Rheumatic fever
2. Rheumatoid heart
3. SLE
4. Infective endocarditis

Correct answer: 4. Infective endocarditis

Explanation: Infective endocarditis is a serious infection mandating promt diagnosis and intervention. Microbial invasion of heart valves or mural endocardium often with destruction of the underlying cardiac tissue characteristically results in bulky , friable vegetation composed of necrotic debris, thrombus, and organisms. The aorta , aneurysmal sacs , other blood vessels and prosthetic devices also can be affected. Robbins 9 th edition page no. 393